Recurrent vomiting due to intestinal obstruction causes-
1. Respiratory acidosis
2. Respiratory alkalosis
3. Metabolic acidosis
4. Metabolic alkalosis

Correct answer: 4. Metabolic alkalosis

Explanation: Ans. is 'd' i.e.. Metabolic alkalosis